'Row of tombstones' appearance is seen in:
1. Irritant dermatitis
2. Pemphigus
3. Pemphigoid
4. Herpes zoster

Correct answer: 2. Pemphigus

Explanation: Ans. (b) Pemphigus(Ref: Robbins 9th/pg 1167)DiseaseBiopsy featuresDIFPemphigus vulgaris* Suprabasal acantholytic vesicle (tombstone pattern) Q* Mixed perivascular infiltrate with eosinophils QIgG within suprabasal intercellular spaces-fishnet pattern Q